Patients with axonal neuropathy, unexplained abdominal pain along with history of psychiatric illness may be suffering from:
1. Porphyria
2. PNH
3. Arsenic toxicity
4. Hypothyroidism

Correct answer: 1. Porphyria

Explanation: In patients with an axonal GBS, unexplained abdominal pain, psychiatric illness should be screened for porphyria. MUST KNOW: In GBS in CSF study if cells are present should suspect HIV infection, Lyme disease, sarcoidosis, or lymphomatous or leukemic infiltration of nerve roots. PNH patients may present with abdominal pain but peripheral neuropathy and psychiatric illness are not seen. Ref: Harrison, Edition-18, Page-3450